All are indications for surgery in ulcerative colitis except
1. Dysplasia, carcinoma
2. Massive colonic bleeding
3. Toxic megacolon
4. Primary sclerosing cholangitis

Correct answer: 4. Primary sclerosing cholangitis

Explanation: Colectomy has no effect on the course of primary sclerosing cholangitis. Indications for the surgical management of ulcerative colitis include fulminant colitis with toxic megacolon, massive bleeding, intractable disease, and dysplasia or carcinoma. Malnutrition and growth retardation may necessitate resection in pediatric and adolescent patients.Ref: Sabiston 20e pg: 1344